A most common cause of acute retention of urine in a child of 2 year age –
1. Posterior urethral valve
2. Duplication of renal pelvis
3. Meatal ulceration with scabbing
4. Urethral stones

Correct answer: 3. Meatal ulceration with scabbing

Explanation: Though posterior urethral valve is the most common cause of obstructive uropathy in children, it does not cause acute retention. It usually presents with chronic obstructive symptoms weak urinary stream, distended bladder, uremia or sepsis caused by an infection in the obstructed urinary tract.
Meatal ulceration with scabbing can cause acute retention of urine.
Urethral stone may cause obstruction, but the most common presentation is hematuria with or without pain.